Foramen of Monro connects
1. Lateral ventricle to the third ventricle
2. Both lateral ventricles
3. 3rd to the 4th ventricle
4. Lateral to the 4th ventricle

Correct answer: 1. Lateral ventricle to the third ventricle

Explanation: Foramen of Monro connects lateral ventricle to third ventricle The CSF is produced mainly in the lateral ventricles, from where it passes through the interventricular foramina(of Monro) into third ventricle.Ref: Clinical Reference - Neuroanatomy Vishram Singh 2nd edition pg 194